Confirmed case of fluorosis is defined by presence of fluoride in urine more than:
1. 1 mg/L
2. 3 mg/L
3. 5 mg/L
4. 7 mg/L

Correct answer: 1. 1 mg/L

Explanation: Confirmed case of fluorosis is defined as presence of one or both of the following: High level of fluoride in urine >1mg/L Intraosseous membrane calcification in fore arm confirmed by Xray Ref: Health policies and programmes in India, D.K. Taneja 11th edition page: 329